All of the following are features of moscheowitz triad in Pericardial effusion, except
1. Widening of the cardiac sillhouette
2. Bunting of cardiophrenic angle on the right side
3. An increase in cardiac dullness in the second intercostal space
4. An abrupt transition of pulmonary resonance to cardiac dullness

Correct answer: 2. Bunting of cardiophrenic angle on the right side

Explanation: Answer- B. Bunting of cardiophrenic angle on the right sideWidening of the cardiac silhouette (widening of cardiac flatnest to percussion).Widening or increae in cardiac dullness in the second intercostal space; andAn abrupt transition of pulmonary resonance to cardiac dullness